All of the following are true about antiglaucoma drugs except
1. PGF2 α analogues increase uveoscleral outflow
2. Usage of Timolol is unsafe in infants
3. Apraclonidine can lead to lid retraction
4. Adrenaline can lead to conjuctival pigmentation

Correct answer: 2. Usage of Timolol is unsafe in infants

Explanation: Brimonidine & apraclonidine are unsafe in infants as they can cross BBB and depress central nervous system.